A 17-year-old high school student dies suddenly while playing basketball.Autopsy and histologic sections are given. What is the most likely diagnosis?
1. Hypertrophic cardiomyopathy
2. Dilated cardiomyopathy
3. Constrictive cardiomyopathy
4. Secondary cardiomyopathy

Correct answer: 1. Hypertrophic cardiomyopathy

Explanation: Hypertrophic cardiomyopathy is characterized by asymmetric hypertrophy of the interventricular septum, histologic sections of which reveal disorganized, hypertrophied myofibers. These changes produce hypercontractility that predisposes patients to the risk of sudden death. There is an increased incidence of hypertrophic cardiomyopathy within families, and there is evidence that it may be an autosomal dominant disorder. The disease is thought to result from a mutation in the cardiac b-myosin heavy chain gene. Patients may experience dyspnea, lightheadedness, and chest pain, especially upon physical exertion; however, many patients appear to be asymptomatic, although sudden, unexpected death occurs not infrequently, especially following or during physical exertion. This risk is increased with factors that either increase the contractility of the heart or decrease the volume of the left ventricle (both of which increase the left ventricular outflow obstruction). T reatment for patients with hypertrophic cardiomyopathy, therefore, is with drugs that decrease contractility. Examples of these types of drugs include b-adrenergic blockers and calcium channel blockers. In individuals with hypertrophic cardiomyopathy, agents that increase contractility are contraindicated. Examples of these types of drugs include glycosides, such as digitalis. Epinephrine and b-adrenergic agonists, which increase cardiac output by increasing stroke volume and heart rate, would also be contraindicated. Diuretics would also be dangerous, as they would decrease intravascular volume, and this would accentuate the bad effects of the septal hypertrophy because of the decreased left ventricular volume. dilated (congestive) cardiomyopathy results in a flabby, hypocontractile heart. Constrictive (restrictive) cardiomyopathy is associated in the United States with amyloidosis and endocardial fibroelastosis. It is so named because of the infiltration and deposition of material in the endomyocardium and the layering of collagen and elastin over the endocardium. This deposition affects the ability of the ventricles to accommodate blood volume during diastole. Reference: Robbins & Cotran Pathologic Basis of Disease, 9edition.